The average blood loss in normal delivery is:
1. 250 ml
2. 500 ml
3. 750 ml
4. 1000 ml

Correct answer: 2. 500 ml

Explanation: Ans. B: 500 ml The average blood loss at the time of delivery is approximately 500 cc during a vaginal delivery and approximately 1,060 cc during a cesarean section. Excessive blood loss or "postpartum hemorrhage" complicates approximately 4% of vaginal deliveries and 6-7% of cesarean sections.